The hydrolytic step leading to release of polypeptide chain from ribosomes in catalysed bya) Stop codonsb) Pepitidyl transferasec) Release factorsd) AUG codone) Dissociation of ribosomes
1. bc
2. c
3. ac
4. ad

Correct answer: 1. bc